Gustillo Anderson classification is used for
1. Open fracture
2. Closed fracture
3. Mal united fracture
4. Non- union of fracture

Correct answer: 1. Open fracture

Explanation: Gustilo and Anderson classification (Open Fractures) Type Wound sizeLevel of contamination Soft tissue injury Bone injury I<1 cm long Clean Minimal Simple, minimal comminutionII>1 - < 10 cm long Moderate Moderate with some muscle damage Moderate comminutionIIIAUsually >10 cm longHigh Severe crushing Usually comminuted; soft tissue coverage of bone possibleBUsually >10 cm longHigh Very severe loss of coverage; usually requires soft tissue reconstructive surgeryBone coverage poor with moderate to severe comminutionCUsually >10 cm longHigh Very severe loss of coverage plus the requirement of vascular injury repair & soft tissue reconstructionBone coverage poor with moderate to severe comminution(Refer: Mohindra's Fundamentals of Orthopedics, 2nd edition, pg no. 56, 57, 60)